"International prognostic index" for lymphoma includes the following prognostic factors except:
1. Stage of disease
2. Number of extralymphatic sites involved
3. LDH
4. Hemoglobin and Albumin

Correct answer: 4. Hemoglobin and Albumin

Explanation: Answer is D (Hemoglobin and Albumin) `International prognostic index' does not include Hemoglobin and Albumin as prognostic factors. Prognostic Factors according to International Prognostic Index for NHL 1 . AgeQ : (Age 60 years carries adverse prognosis) 2. Stages : (Ann Arbor stage III or IV carries adverse prognosis) 3. LDH levelse : (Elevated LDH levels above normal carry adverse prognosis) 4. Performance status : (P.S 2 (ECOG) or <70 (Karnafsky) carries adverse prognosis) 5. Number of Extranodal sites involvedQ : (>1 extranodal site involvement carries adverse prognosis) International Prognostic Index for NHL Five clinical risk factors: Age 60 years Serum lactate dehydrogenase levels elevated PerfOrmance status 2 (ECOG) or 70 (Karnofsky) Ann Arbor stage III or IV > / site of extratiodal involvement